Suspiciousness is a characteristic feature of ?
1. Paranoid personality disorder
2. Schizoid personality disorder
3. Schizotypal personality disorder
4. Anankastic personality disorder

Correct answer: 1. Paranoid personality disorder

Explanation: Ans. is 'a' i.e., Paranoid personality disorder Paranoid personality disorder It is characterized by generalised mistrust and Suspiciousness about the motives and actions of others and a tendency to interpret them as malevolent. The patient believes that :- Others are exploiting or deceiving the person. Friends are untrustworthy and not loyal. The spouse/partner is unfaithful. There is hidden meaning in neutral or friendly remarks. Many patients have feeling of self-importance and think they are unusually talented